Tumour lysis syndrome causes all except
1. Hyperkalemia
2. Hypercalcemia
3. Hyperphosphatemia
4. Hyperuricemia

Correct answer: 2. Hypercalcemia

Explanation: Am: B (Hypercalcemia) Ref: Harrison, 18 ed pg. 1736)TLS is charectrised by hyperuricaemia, hyperkalaemia, fyyperphosphatesia, hypocalcaemia a0nd metabolic acidosis.Usually occurs during or shortly after starting treatment (1-5 days).The ratio of urine uric acid/ urine creatinine is >1 in acute hyperuricaemic nephropathy.Hyperuricemia and high LDH ( >1500 U/L) correlates with risk of TLS.Indications for hemodialysis in TLS:a) S. creatinine > 10 mg/dlb) S. phosphate > 10 mg/dlc) S. uric acid > 10 mg/dld) S. potassium >6 mg/dle) Symptomatic hypocalcaemiaMedical treatment:Allopurinol 300 mg/m /day Rasburicase (urate oxidase) - C/I in G6PD deficiency